Which of the following is the mechanism of action of bumetanide?
1. Angiotensin converting enzyme inhibitor
2. Carbonic anhydrase inhibitor
3. Loop diuretic
4. Potassium sparing diuretic

Correct answer: 3. Loop diuretic

Explanation: Bumetanide is a loop diuretic. It inhibits the sodium, potassium, chloride cotransporter in the thick ascending limb of the loop of Henle. Angiotensin converting enzyme inhibitors include benazepril, captopril and lisinopril. They interfere with the conversion of angiotensin I to angiotensin II. Carbonic anhydrase inhibitors, such as acetazolamide, act in the proximal convoluted tubule. They cause a self-limited sodium bicarbonate diuresis. They are used to alkalinize the urine, and for the treatment of metabolic alkalosis and glaucoma. Potassium-sparing diuretics such as spironolactone, triamterene, and amiloride inhibit the action of aldosterone. They are used in the treatment of hyperaldosteronism and potassium depletion. Also Know: Loop diuretics inhibit a specific ion transport protein, the Na+-K+-2Cl- symporter on the apical membrane of renal epithelial cells in the ascending limb of the loop of Henle to increase Na+ and fluid delivery to distal nephron segments. These drugs also enhance K+ secretion, particularly in the presence of elevated aldosterone levels, as is typical in CHF. Ref: Maron B.A., Rocco T.P. (2011). Chapter 28. Pharmacotherapy of Congestive Heart Failure. In L.L. Brunton, B.A. Chabner, B.C. Knollmann (Eds), Goodman & Gilman's The Pharmacological Basis of Therapeutics, 12e.